Antiphospholipid syndrome ( APS) is associated with all of the following except:
1. pancytopenia
2. Recurrent abortions
3. Venous thrombosis
4. pulmonary hypertension

Correct answer: 1. pancytopenia

Explanation: Indications for APLA testing 3 or more consecutive first trimester losses Unexplained IUGR Early onset severe preeclampsia Unexplained thrombosis Autoimmune connective tissue diseases like SLE False positive serological test for syphilis (refer pgno:333 sheila 2nd edition)